Thiopentone is contraindicated in :
1. Acute intermitent porphyria
2. Induction of GA.
3. CHF
4. GI disease

Correct answer: 1. Acute intermitent porphyria

Explanation: Ans. is 'a' i.e. Acute Intermittent porphyria Barbiturates (Thiopentone) ppt acute intermittent porphyria